In marasmus wasting is due to -
1. Prolonge dieiery deficiency of caloris
2. Prolonge dieterv deficiency of protein
3. Excess catabolism of fat & muscle mass to provide energy
4. All of above

Correct answer: 4. All of above

Explanation: Ans. is 'd' i.e., All of above MarasmusProlonge deficiency of calory & protein due to starvation.Monkey facies- loss of buccal fat.Baggy pants appearance- loose skin of the buttocks hanging down,Loss of axillary fat.Appetite is preserved.No edema.